The term "guyon's canal" is in relation to which of the following?
1. Anterior interosseus nerve
2. Ulnar nerve
3. Median nerve
4. Radial artery

Correct answer: 2. Ulnar nerve

Explanation: An entrapment syndrome when ulnar nerve passes through Guyon’s canal, is known as Guyon’s canal syndrome.